Endodermal cloaca gives rise to all of the following except
1. Rectum
2. Lower 1/2 of anal canal
3. Upper 1/2 of anal canal
4. Mucous membrane of bladder

Correct answer: 2. Lower 1/2 of anal canal

Explanation: The part of the hindgut caudal to the attachment of the allantoic diverticulum is called the cloaca. The cloaca soon shows a subdivision into a broad ventral part and a narrow dorsal part. These two parts are separated from each other by the formation of the urorectal septum, which is first formed in the angle between the allantois and the cloaca. Derivatives of Hindgut - Preallantoic part: Left one-third of transverse colon, Postallantoic part: It forms a dilated endodermal cloaca which is divided by urorectal septum into a dorsal part (primitive rectum) and a ventral part (primitive urogenital sinus). Rectum Upper part of anal canal Parts of the urogenital system derived from the primitive urogenital sinus.` Ref: Inderbir Singh's Human Embryology, eleventh edition, pg. no., 173, 175.